Fat necrosis is not associated with:
1. Liposuction
2. Mammoplasty
3. Ca breast
4. Trauma

Correct answer: 3. Ca breast

Explanation: Ans is C (Ca breast) "Fat necrosis of the breast is a unilateral localized process associated with trauma, breast biopsy, reduction mammoplasty, and radiation. It is easily confused with cancer due to induration, fibrosis, dystrophic calcification, and retraction of overlying skin; the key distinction is the presence of pain."- Blackwell's underground clinical vignettes: Pathophysiology By Vikas Bhushan, Vishal Pall, Ashraf Zaman 3/e p37 "Abboud et al. Reported that breast reduction using liposuction has been associated with calcification from fat necrosis."- Breast Augmentation: Principles and Practice By Melvin A. Shiffman p70 Fat necrosis presents as a firm mass generally associated with a history of trauma, surgery, or radiation therapy of the breast, though it can occur for unknown reasons. Perimenopausal women who are obese and have large breasts are more likely to develop fat necrosis. - Breast Disease: Benign and Malignant Medical Clinics of North America - Volume 92, Issue 5 (September 2008) Treatment of fat necrosis is excisional biopsy. There is no relationship between fat necrosis and subsequent breast carcinoma. The lesion has no malignant potential.